Influenza is caused by
1. Orthomyxo virus, which is a DNA virus
2. Paramyxo virus, which is a RNA Virus
3. Paramyxo virus, which is a DNA Virus
4. Orthomyxo virus, which is a RNA virus

Correct answer: 4. Orthomyxo virus, which is a RNA virus